Xray view for superior orbital fissure is
1. Towne's
2. AP
3. Basal view
4. Caldwell

Correct answer: 4. Caldwell

Explanation: In plain AP view and Towne's view we can see the Temporal bone and sinus, zygoma, zygomatic arch and mandibleSuperior orbital fissure can be seen by Caldwell view and water's view.X-ray views of OrbitPA view, Caldwell Luc view Superior orbital fissureAp view, Townes viewInferior orbital fissureRhese viewOptic foramenPNS/ Water's viewFloor of orbit